Mechanism of action of amoxapine is :-
1. SNRI
2. SSRI
3. NA + 5HT reuptake inhibitor
4. Predominantly NA reuptake inhibitor

Correct answer: 4. Predominantly NA reuptake inhibitor

Explanation: Ans. is 'd' i.e., Predominantly NA reuptake inhibitor Antidepressants|| |Typical(Inhibits reuptake or metabolism of Na/5-HT) Atypical(Act by other mechanism)|* Trazodone* Mianserine* Mitrazapine* Venlafaxine* Duloxetine* Tianeptine* Amineptine* Bupropion|||MAO-A inhibitorTricyclic antidepressants* NA+5HT reuptake inhibitors# Imipramine# Amitriptyline# Trimipramine# Doxepin# Dothiepin# Clomipramine* Predominantly NA reuptake inhibitors# Desipramine# Nortriptyline# Amoxapine# ReboxetineSelective serotonin reuptake inhibitors (SSRI)* Fluoxetine* Paroxetine* Sertaline* Citalopram* Escitalopram* Fluvoxamine